In wood lamp examination, tinea versicolor looks like ----- fluorescence?
1. Green
2. Red
3. Yellow
4. Blue

Correct answer: 3. Yellow

Explanation: Tinea versicolorCaused by fungus Malassezia furfurHypo or Hyperpigmented macular lesion seen in above 4 years of ageWood lamp examination show yellowish gold fluorescenceTreatment is topical antifungal agents(Refer: Nelson's Textbook of Pediatrics, SAE, 1st edition, pg no. 3213)